The most strongly implicated premalignant condition of the oral cavity is:
1. Fordyce spots
2. Erythroplakia
3. Median rhomboid glossitis
4. Erythema multiforme

Correct answer: 2. Erythroplakia

Explanation: Ans. (b) ErythroplakiaRef: Bailey and Love Page 707* Red mucosal plaques* MC in the soft palate and Tonsillar pillars.*There is increased malignant potential, all erythroplakia lesions must be biopsied.* Higher risk - 17 times of malignant potential.